Indications of amnioinfusion includes all of the following, except ?
1. Prolonged rupture of membranes with oligohydramnios
2. Variable decelerations
3. Treatment of late declerations during labour
4. In decreasing risk of meconium aspiration during labour in patients with thick meconium

Correct answer: 3. Treatment of late declerations during labour

Explanation: Transvaginal amnioinfusion has been extended into three clinical areas (1) treatment of variable or prolonged decelerations, (2) prophylaxis for women with oligohydramnios, as with prolonged ruptured membranes, and (3) attempts to dilute or wash out thick meconium It was concluded that amnioinfusion appeared to be useful in reducing the occurrence of variable decelerations, improving neonatal outcome, and reducing cesarean delivery rates.